Wrong about accomodative power of lens:
1. Decreases with age
2. Lost after cataract surgery
3. Involves change in anterior capsule of lens
4. 5 D at 75 yrs

Correct answer: 4. 5 D at 75 yrs

Explanation: Accommodative power is 0-0.5 D at 75 years of Age. Accommodativepower of Lens Is lost after cataract surgery Function of anterior capsule of lens and ciliary zonule Decreases with age